WAGR syndrome includes all except
1. Wilms tumour
2. Mental Retardation
3. Anorectal malformation
4. Genital anomalies

Correct answer: 3. Anorectal malformation

Explanation: WAGR syndrome : 

Wilms tumour.
Aniridia.
Genital anomalies.
Mental Retardation.